Which anticancer drug prevents spindle formation is -
1. Busulfan
2. Vinca alkaloids
3. 5 - FU
4. Methotrexate

Correct answer: 2. Vinca alkaloids

Explanation: Ans. is 'b' i.e., Vinca alkaloids